Mark a FALSE statement with regards to diagnostic studies in steatorrhea of various etiologies.
1. Chronic pancreatitis- D-Xylulose test is normal , schilling test-abnormal ,duodenal biopsy-normal
2. Bacterial overgrowth syndrome- D-Xylulose test -normal , schilling test-abnormal ,duodenal biopsy- normal
3. Celiac disease-D-Xylulose test-Decreased , schilling test- normal ,duodenal biopsy - Absent villi
4. Intestinal lymphangiectasia-D-Xylulose test- Abnormal , schilling test- normal ,duodenal biopsy- dilated lymphatics

Correct answer: 4. Intestinal lymphangiectasia-D-Xylulose test- Abnormal , schilling test- normal ,duodenal biopsy- dilated lymphatics

Explanation: Results of Diagnostic Studies in Steatorrhea of Various Etiologies: D-XYLOSE TEST SCHILLING TEST DUODENAL MUCOSAL BIOPSY Chronic pancreatitis Normal 50% abnormal; if abnormal, normal with pancreatic enzyme treatment Normal Bacterial overgrowth syndromes Normal or only modestly abnormal Often abnormal; if abnormal, normal after antibiotic treatment Usually normal Heal disease Normal Abnormal Normal Celiac disease Decreased Normal Abnormal: probably "flat" Intestinal lymphangiectasia Normal Normal Abnormal: "dilated lymphatics"